Two way method of communication is known as:
1. Didactic method
2. Hippocratic method
3. Socratic method
4. None of the above

Correct answer: 3. Socratic method

Explanation: Two way communications is also known as Socratic method where both the communicator and the audience can take part. Ref: Park 21st edition page: 794.